Ocular lesions of leprosy includes all except
1. Iritis
2. Cataract
3. Secondary glaucoma
4. Fasicular keratitis

Correct answer: 4. Fasicular keratitis

Explanation: Other manifestation
Madarosis, Lagophthalmos, episcleritis,Uveitis...etc.